Zona glomerulosa secretes:
1. Aldosterone
2. Cortisol
3. Testosterone
4. Catecholamines

Correct answer: 1. Aldosterone